A primigravida in the first trimester of pregnancy was found to be sputum positive for acid fast bacilli. There is no prior history of tuberculosis. What is the treatment of choice for this patient?
1. Category I DOTS
2. Category II DOTS
3. Start ATT after delivery
4. ATT IS NOT NEEDED

Correct answer: 1. Category I DOTS

Explanation: ANTI TUBERCULOSIS TREATMENT IN PREGNANCY Newly smear positive cases of Tuberculosis are treated with Category I DOTS (Directly Observed Treatment Short course) in India. The drugs given in category I DOTS - Isoniazid, Rifampicin, Ethambutol and Pyrazinamide are not contraindicated in pregnancy But if the disease is not treated properly, it is harmful for the foetus Streptomycin is not given in pregnant patients as it is teratogenic Ref : Dutta book of obstetrics 8th Ed